The following are components of Kawasald disease except -
1. Purulent conjunctivitis
2. Pedal edema
3. Truncal rash
4. Pharyngeal congestion

Correct answer: 1. Purulent conjunctivitis